Which of the following is the mode of internal transmission or spread of amoebic lung abscess ?
1. Direct spread from the liver
2. Spread blood
3. Lymphatic spread
4. Inhalational route

Correct answer: 1. Direct spread from the liver

Explanation: Patients who develop an amoebic lung abscess often have symptoms associated with a liver abscess. These may include right upper quadrant pain and fever. After perforation of the liver abscess into the lung, the individual may develop a cough and expectorate a chocolate or anchovy paste-like sputum that has no odour. Infection spreads from the liver across the diaphragm.